Most significant contraindication for Fine Needle Aspiration biopsy (FNA) is:
1. Moribund state of the patient
2. Disseminated malignancy
3. Bleeding disorder
4. HIV positivity

Correct answer: 3. Bleeding disorder

Explanation: Ans: c. (Bleeding disorder)Ref: British Society for Clinical CytologyContraindication for FNA1. Uncorrected coagulopathies Anticoagulant therapy Intrinsic bleeding disorder2. Parasitic cysts - Chance of anaphylactic shock.3. Cough & respiratory infection - Contraindication for transthoracic FNA4. Carotid body tumour - May cause catecholamine release with potential risk of hypertensive crisis.